As the thickness of split skin graft increases
1. Donor sites heal better
2. Fewer but brisker bleeding points on the donor site
3. More the wound contracture at recipient site
4. Faster the healing at recipient site

Correct answer: 2. Fewer but brisker bleeding points on the donor site

Explanation: The thicker the dermis that is taken -Fewer but brisker bleeding points on the donor site The more durable will be the graft once healed (although it might take longer and require more care), Also more difficult will be donor site healingThicker grafts heal with less contracture Bailey and love 26e pg: 403